Difference in acne rosacea & acne vulgaris:
1. Erythema
2. Absence of comedone
3. Papule
4. Pustule

Correct answer: 2. Absence of comedone

Explanation: Ans. b. Absence of comedoneComedones are characteristic lesions of acne, absent in rosacea